Infection involving anterior larynx -
1. TB
2. Sarcoidosis
3. Syphilis
4. All the above

Correct answer: 3. Syphilis